Maltese cross is characteristic feature of:
1. Cryptococcus neoformans
2. Babesia microti
3. Blastomycosis
4. Penicillium marfeni

Correct answer: 2. Babesia microti

Explanation: Ans. is 'b' i.e., Babesia microti(Ref: Jawetz, 24th/e, p. 680; Clinical Hematology, 4th/e, p. 108)* Intraerythrocytic infection of Babesiosis is characterized by Maltese cross and it is transmitted by tick.